Total score in standard minimental status examination (MMSE) is?
1. 25
2. 30
3. 32
4. 35

Correct answer: 2. 30

Explanation: Ans. B. 30. (Ref. Harrison's medicine 17th/ Table 365-5)."The MMSE, an easily administered 30-point test of cognitive function, contains tests of orientation, working memory (e.g., spell world backwards), episodic memory (orientation and recall), language comprehension, naming, and copying."Discussion:Cognitive and Neuropsvchiatric Examination# Brief screening tools such as the mini-mental state examination (MMSE) help to confirm the presence of cognitive impairment and to follow the progression of dementia.# The MMSE, an easily administered 30-point test of cognitive function, contains tests of orientation, working memory (e.g., spell world backwards), episodic memory (orientation and recall), language comprehension, naming, and copying.# In most patients with MCI and some with clinically apparent AD, the MMSE may be normal and a more rigorous set of neuropsychological tests will be required.# In FTD, the earliest deficits often involve frontal executive or language (speech or naming) function. DLB patients have more severe deficits in visuospatial function but do better on episodic memory tasks than patients with AD.# Patients with vascular dementia often demonstrate a mixture of frontal executive and visuospatial deficits.# In delirium, deficits tend to fall in the area of attention, working memory, and frontal function.The Mini-Mental Status Examination PointsOrientation Name: season/date/day/month/year5 (1 for each name)Name: hospital/floor/town/state/country5 (1 for each name)Registration Identify three objects by name and ask patient to repeat3 (1 for each object)Attention and calculation Serial 7s; subtract from 100 (e.g., 93-86-79-72-65)5 (1 for each subtraction)Recall Recall the three objects presented earlier3 (1 for each object)Language Name pencil and watch2 (1 for each object)Repeat "No ifs, ands, or buts"l Follow a 3-step command (e.g., "Take this paper, fold it in half, and place it on the table")3 (1 for each command)Write "close your eyes" and ask patient to obey written command1Ask patient to write a sentence1Ask patient to copy a design (e.g., intersecting pentagons)1Total30